Lumbar sympathectomy done for all EXCEPT:
1. Causalgia
2. Intermittent claudication
3. Rest pain
4. Raynaud's disease

Correct answer: 2. Intermittent claudication

Explanation: Ans. B i.e. Intermittent claudication Three main indications of lumbar sympathetcomy: Causalgia Inoperative arterial occlusive disease with limb-threatening ischemia causing rest pain, limited ulceration, or superficial digital gangrene Symptomatic vasospastic disorders Sympathectomy It increases peripheral blood flow by vasodilation of arterioles in cutaneous vascular beds Good for: - Causalgia - Hyperhidrosis - Vasosopastic disorders (frostbite, Raynaud's) PVD Some inoperable patients may receive sufficient increases to help heal superficial ischemic ulcers and relieve rest pain - Short-term - Pallative